Shortest sacrocotyloid diameter causing narrowing of pelvis is a feature of which type of maternal pelvis?
1. Android
2. Gynaecoid
3. Platypelloid
4. Anthrapoid

Correct answer: 3. Platypelloid

Explanation: Platypelloid